Gene for major histocompatibility complex is located on which chromosome?
1. Chromosome 10
2. Chromosome 6
3. X chromosome
4. Chromosome 13

Correct answer: 2. Chromosome 6

Explanation: Major histocompatibility complex also called the human leucocyte antigen (HLA) is a 4 megabase region on chromosome 6. The region is densely packed with genes.
The gene encodes two major proteins or antigens i.e., MHC I and MHC